Mrs Rekha having her child of 2yrs of age presents to her family obstetrician with 40 pruritis vulvae and amenorrhea She gives hco severe blood loss and failure of lactation during pregnancy She is lethargic and has cold intolerance She has got multiple skin infections and anemia What is the diagnosis?
1. Sheehans syndrome
2. Ashermann Syndrome
3. Prolactinomas
4. none

Correct answer: 1. Sheehans syndrome

Explanation: ref : shaw gynecology